Transverse fracture of maxilla is
1. Le Fort - 1
2. Le Fort -2
3. Le Fort-3
4. Craniofacial disruption

Correct answer: 1. Le Fort - 1

Explanation: Le Fort-I fracture or transverse fracture of maxilla runs above and parallel to the palate. It crosses the lower part of nasal septum, maxillary antra and the pterygoid plates. Le Fort II fracture is a pyramidal fracture passing through the root of the nose, lacrimal bone, floor of the orbit, upper part of the maxillary sinus and pterygoid plates. This fracture has some features common with zygomatico fractures. Le Fort III ( Craniofacial dysjunction)This is complete separation of facial bones from the cranial bones. Ref: Textbook of diseases of ENT, PL Dhingra, 7th edition, pg no. 207